All are features of Vitamin D Its intoxication, except –
1. Nausea and vomiting
2. Muscular weakness
3. Anorexia
4. Oliguria

Correct answer: 4. Oliguria

Explanation: There is polyuria (not oliguria)
Hypervitaminosis  

The sign and symptoms of vitamin D intoxications are secondry to hypercalcemia which is caused by -


Excessive bone resorption (major cause) Vit D causes bone resorption.
Increased calcium absorption


Manifestations are -


GIT         --> Nausea, vomiting, anorexia, poor feeding, constipation, abdominal pain and pancreatitis.
CVS        --> Hypertension, arrhythmias and decreased QT interval.
CNS        ---> Lethargy, hypotonia, confusion, psychosis, disorientation, depression, hallucinations & coma.
Kidney --> Polyuria, hypernatremia, dehydration, nephrolithiasis and nephrocalcinosis.
Metastatic calcification.